Delirient poison is
1. Dhatura
2. Alcohol
3. Opium
4. Arsenic

Correct answer: 1. Dhatura

Explanation: Ans. is 'a' i.e. Dhatura ]Dhatura is a deliriant poison (These poisons are characterized by a well-marked deliriant stage)Alcohol is an inebriant (Inebriant poison are characterized by 2 sets of symptoms viz. Excitement & narcosis)Opium is a somniferous poison (they are used therapeutically to lessen pain & induce sleep)Arsenic is an irritant.Classification of poisons* (according to the mode of actions)Corrosives :A corrosive poison is simply a highly active irritant and not only produces inflammation but also actual ulceration of the tissues.Eg. Strong acids, Strong alkaliesIrritants :They produce symptoms of pain in the abdomen, vomitting and purging.Inorganic : P,Cl,Br,I,Ar,Sb,Hg,Cu,Pb,Zn,Ag.Organic:Vegetable poisons: Castor, croton CalotropisAnimal poisons : Snake & insect bites, cantharides.Mechanical: Powdered glass, hairs etc.Neurotics:They act chiefly on the nervous system.Cerebral: act mainly on the cerebrum. Further 3 types are:Somniferous: Opium*.Barbiturates*.Inebriant: Alcohol*. Anesthetics, Sedatives & hypnotics, kerosene, Organophosphates*.Deliriant: Dhatura*., Atropa belladonna, Hyoscyamus, cannabis*. CocaineSpinal: Nux Vomica*.Peripheral: Curare, coniumCardiac:Act on the hearteg. Digitalis*, Oleander*, Nicotine*. Aconite*.Asphyxiant:Act mainly in lungeg. CO, CO2, war gases.